Which among the following is an active form of chlorination?
1. Hypochlorite ion
2. Hydrogen chloride
3. Hypochlorous acid
4. Chloride ion

Correct answer: 3. Hypochlorous acid

Explanation: * The disinfecting action of chlorine is predominantly due to hypochlorous acid. * Hypochlorous acid is most effective form of chlorine and it is almost 70-80 times more effective than hypochlorite ions ref : park 21st ed